A six months old girl is having recurrent UTI. Ultrasound abdomen shows bilateral hydronephrosis. MCU (Micturating cysto urethrogram) shows bilateral Grade IV vesicoureteral reflux. The treatment of choice is -
1. Endoscopic injection ofpolyteflon at ureteric orifices
2. Ureteric re-implantation
3. Bilateral Ureterostomy
4. Prophylactic antibiotics

Correct answer: 4. Prophylactic antibiotics

Explanation: Ans. is 'd' i.e., Prophylactic antibiotics